Pugilistic attitude in burns is seen in :
1. Antemortem burns
2. Post mortem burns
3. Homicidal burns
4. Both antemortem burns and post mortem burns

Correct answer: 4. Both antemortem burns and post mortem burns

Explanation: D i.e. Both antemortem burns and post mortem burns - Vesicles in antemortem burn contain albuminous fluid & chloride; while vesicles in postmortem burn contain air.t2 - Heat stiffening or heat coagulation is found in bodies exposed to heat ie temperatures above 65degC (Reddy)/ 70degC (Parikh) as is seen in death due to burning, high voltage electrocution (electric shock), or falling into hot liquid. - Heat coagulates the muscle proteins and cause stiffening and contraction to a greater degree than that seen in rigor mortis. The degree & depth of changes depends on intensity of heat and exposure time. - Muscles are contracted, desiccated or even carbonized on surface. The body assumes pugilistic (=boxers) attitude with lower limbs and arms semiflexed and hands clenched. - Normal rigor mortis does not develop in heat stiffeningQ and the stiffening persists until the coagulated albumin liquefies from decomposition.